Gluconeogenesis in fasting state is stimulated by
1. Pyruvate kinase stimulated by citrate
2. Activation of pyruvate carboxylase by acetyl Co-A
3. Activation of pyruvate kinase by fructose 1, 6-bisphosphate
4. Stimulation of phosphofructokinase-1 by fructose 2, 6-bisphosphate

Correct answer: 2. Activation of pyruvate carboxylase by acetyl Co-A

Explanation: Ans. b. Activation of pyruvate carboxylase by acetyl Co-A